Which of the following is a latest drug approved for MDR TB?
1. Bedaquiline
2. Tipranavir
3. Levofloxacin
4. Linezolid

Correct answer: 1. Bedaquiline

Explanation: Ans. A. BedaquilineNew drug for treatment of MDR TBa. Bedaquiline is the first bactericidal anti-TB drug to interfere with bacterial energy metabolism. It inhibits mycobacterial ATP synthase, that is essential for the generation of energy in M. tuberculosis.b. The drug is to be given in addition to the multidrug treatment regimen recommended by WHO.c. 400 mg daily for 2 weeks followed by 200 mg thrice weekly for 22 weeksd. Delamanid is another new nitro imidazole compound for MDR-TB recently approved by WHOe. WHO recommends limiting the use of bedaquiline and delamanid to cases of MDR-TB when an effective WHO- recommended standard MDR-TB regimen cannot be designed